Kolmer test is a screening test done for
1. Syphilis
2. Tuberculosis
3. Gonorrhea
4. Lymphoma

Correct answer: 1. Syphilis